Percentage of monozygotic twins with Schizophrenisa is:
1. 0.10%
2. 1%
3. 10%
4. 50%

Correct answer: 4. 50%

Explanation: D. i.e. 50%